Sphenopalatine foramen opens into which wall of pterygopalatine fossa?
1. Lateral wall
2. Medial wall
3. Superior wall
4. Inferior wall

Correct answer: 2. Medial wall

Explanation: Sphenopalatine foramen opens into the medial wall of pterygopalatine fossa. It opens into the nasal cavity and transmits sphenopalatine artery and nasopalatine nerve.Pterygopalatine fossa boundaries:Anterior wall: posterior surface of maxilla posterior wall of maxillary sinus.Posterior wall: formed by pterygoid process and greater wing of sphenoid. Openings in it are foramen rotundum, pterygoid canal and pterygopalatine canal.Medial wall: formed by perpendicular plate of the palatine.Lateral wall is open.Roof: greater wing and body of the sphenoid. Opening is inferior orbital fissure.Floor: fusion of the maxilla and pterygoid process of the sphenoid. Opening is greater palatine foramen.